Which of the following is/are TRUE about hypospadias? 1. Defect is seen in the ventral part 2. Always associated with chordee 3. Associated with hooded prepuce 4. Circumcision should be avoided
1. 1,2 & 3
2. 2,3 & 4
3. 1,3 & 4
4. All are true

Correct answer: 3. 1,3 & 4

Explanation: About option 1 Hypospadias results from failure of fusion of the urethral folds on the undersurface of the genital tubercle so defect is seen on the ventral part. About option 2 "In the penile variety (not other type- so not always present) the urethra and corpus spongiosum distal to the ectopic opening are absent. These structures are represented by a fibrous cord. Due to contracture of this fibrous cord, the penis is curved ventrally, which is known as chordee". About option 3 "In all cases the inferior aspect of the prepuce is poorly developed. As the superior aspect of the prepuce is almost normally developed whereas the inferior aspect is poorly developed, the prepuce takes the form of a hood and is called "hooded prepuce". About option 4 "Circumcision should not be done in these patients, as prepuce can be used later in surgical repair (85% of patients)" Ref: L & B 25/e, Page 1362-63 ; CSDT 11/e, Page 1028 ; Textbook Of Surgery By S. Das 5/e, Page 1322-23